All are rate-limiting enzymes except
1. HMG-CoA reductase
2. HMG-CoA synthase
3. Glyceraldehyde-3-phosphate dehydrogenase
4. Acetyl-CoA carboxylase

Correct answer: 3. Glyceraldehyde-3-phosphate dehydrogenase

Explanation: The second phase of glycolysis involves the extraction of energy in the form of 4 ATP per molecule of glucose, a net gain of 2 ATP molecules. The product of glycolysis, pyruvate, can then be further broken either aerobically Glyceraldehyde-3-phosphate dehydrogenase (GAPDH) plays an important role in glycolysis and gluconeogenesis by reversibly catalyzing the oxidation and phosphorylation of G3P to the energy-rich intermediate 1,3BPG. NAD+ is a co-substrate for this reaction. GAPDH displays diverse non-glycolytic functions as well, its role depending upon its subcellular location. For instance, the translocation of GAPDH to the nucleus acts as a signaling mechanism for programmed cell death, or apoptosis.